Which of the following reduces the development of unexposed Ag halide crystals, and also acts as antifog agent?
1. Phenidone
2. Potassium hydroxide
3. Sodium sulfite
4. Sodium bromide

Correct answer: 4. Sodium bromide